Beta Oxidation which takes place in peroxisomes generate which of the following
1. NADPH
2. FADH2
3. H2O2
4. ATP

Correct answer: 3. H2O2

Explanation: Perxisomal β oxidation produces acetyl CoA and H2O2. It does not produce ATP unlike Mitochondrial beta oxidation.